Which of the following is/are source of mortality related data:
1. Sample registration system
2. Death certificate
3. Central births & deaths registration act
4. All of the above

Correct answer: 4. All of the above

Explanation: Ans: d. All of the above The SRS is a dual-record system, consisting of continuous enumeration of births & deaths by an enumerator & an independent survey every 6 months by an investigator-supervisorSince the introduction of this system, more reliable information on birth & death rates, age-specific fertility & mortality rates, infant, under-five & adult mortality etc. have become available.The act came into force on 1 april 1970, The act provides for compulsory registration of births & deaths throughout the countryThe time limit for registering the event of births & that of deaths is 21 days uniformly allover India